Which of the following drug used against glaucoma is contraindicated in patients with urine retention
1. Disopyramide
2. Flecainide
3. Lidocanine
4. Tocainide

Correct answer: 1. Disopyramide

Explanation: Class Ia Antiarrhythmics have anticholinergic property. Disopyramide is a class Ia antiarrhythmic with maximum anticholinergic action & hence contraindicated in patients with urine retention & glaucoma.